Rituximab is used in all EXCEPT :
1. Non Hodgkins lymphoma
2. Paroxysomal nocturnal hemoglobinurea
3. Rheumatoid arthritis
4. Systemic lupus erythematosis

Correct answer: 2. Paroxysomal nocturnal hemoglobinurea